OC pills prevent all except: (Repeat)
1. Ca colon
2. Ca endometrium
3. Anorectal cancer
4. Ca cervix

Correct answer: 4. Ca cervix

Explanation: Ans: D. Ca Cervix Ref: Shaw's Textbook of Gynaecology 15th Edition Pg: 232. Explanation: Intact. OCPs are associated with increased risk of Endocervical cancer. OCPS & Malignancy Combined OC pills reduce the incidence of ovarian cancer by 40% and uterine cancer by 50% if taken for I year. Risk of Colonic and anorectal cancer is reduced by 311-40%. Regarding breast cancer, the role of combined pills is still controversial. Some studies reported that women who took combined pills for more than 4 years are at risk of breast cancer. But the risk disappears after 10 years of stopping the drug. But, lately evidence based data fail to prove the adverse role of pills on breast cancer. Regarding cervical cancer, risk of endocervical cancer is increased has been reported in women who used combined pills for more than 5 years. OCPs are also associated with Hepatocellular Care i noma. Benefits of combined OC pills: Menorrhagia Polymenorrhea Dysmenorrhea Premenstrual tension Benign breast neoplasia Functional ovarian cysts PID Rheumatoid arthritis Acne PCOD Endometriosis Ovarian cancer Endometrial cancer Anorectal cancer Colon cancer